"Farmer's Lung" is due to inhalation of-(mmiE as)
1. Cotton fiber
2. Sugarcane fiber
3. Hay dust
4. Coal dust

Correct answer: 3. Hay dust

Explanation: Ans. is 'c' i.e., Flay dust